Which of the following statements is false regarding bedaquiline?
1. Inhibits mycobacterial cell wall synthesis
2. Causes QT prolongation
3. Half-life is very long
4. Indicated for MDR TB and XDR TB

Correct answer: 1. Inhibits mycobacterial cell wall synthesis

Explanation: Bedaquiline is a new tubercular drug which inhibits mycobacterial ATP synthase . Resistance occurs by mutation to ATP synthase and efflux pimp. Terminal half life is high about 160 days. Adverse effects are QR prolongation and hepatotoxicity. It is indicated for MDR TB and XDR TB. Other drugs are Delaminid and Pretomanid. So first option is better one.